Surgical alteration or suturing of gunshot wounds may create problems in distinguishing entry from exit. This is called as:
1. Formication phenomenon
2. Gordon phenomenon
3. Cookie cutter phenomenon
4. Kennedy phenomenon

Correct answer: 4. Kennedy phenomenon

Explanation: Kennedy phenomenon:- Iatrogenic surgical alteration or suturing of the entrance wound. The evaluation of whether the wound is entrance or exit becomes difficult. Cookie cutter phenomenon:- It is seen from the near shot entry wound of shot gun. Formication Patients feels the insects crawling under skin Seen in Cocaine & ergot Gordon Phenomenon Prinsloo and Gordon (1951) described artefactual extravasation of blood into theanterior neck structures at autopsy. It may be a source of confusion, resembling traumatic bruises. To eliminate this artefact, bloodless dissection of neck is recommended in asphyxial deaths